Once weekly administration of which of the following antibiotics has prophylactic activity against bacteremia caused by M. avium complex in AIDS patients?
1. Azithromycin
2. Clarithromycin
3. Isoniazid
4. Rifabutin

Correct answer: 1. Azithromycin

Explanation: The regimen used for the treatment of Mycobacterium avium complex in AIDS patients is REC (Rifabutin, ethambutol and clarithromycin). These drugs are given once daily. Clarithromycin can be replaced with azithromycin which is long acting and can be administered once a week.